Methods used for Laparoscopic sterilization include the following except :
1. Electrocoagulation
2. Falope ring
3. Irving
4. Filchie clip

Correct answer: 3. Irving

Explanation: Irving